Speed ball is cocaine plus -
1. Heroin
2. Cannabis
3. Amphetamine
4. LSD

Correct answer: 1. Heroin

Explanation: A combination of heroin and cocaine is called as speed balls REF;THE SYNOPSIS OF FORENSIC MEDICINE:KS NARAYANA REDDY;28th EDITION;PAGE NO 347